Urban malaria is caused by
1. Anopheles culicifacies
2. Anopheles stephensi
3. Anopheles sundaicus
4. Anopheles fluvialis

Correct answer: 2. Anopheles stephensi

Explanation: Anopheles Mosquito There are over 55 species of anopheline mosquitoes in India causing malaria An.culicifacies - Vector of rural malaria An.stephensi - Vector of urban malaria; Breed in overhead tanks An.fluviatilis- Efficient vector, highly anthrophilic, breed in moving water An.sundaicus : Breed in brackish water An.dirus An.minimus An.philippines An.maculates Ref: Park 25th edition Pgno : 281